Professional death in medical profession is –
1. Removal of name of doctor from panel of RMP
2. Death sentence ordered by judge
3. Death during police firing
4. Death of doctor

Correct answer: 1. Removal of name of doctor from panel of RMP

Explanation: Penal erasure is erasure of name of a doctor from the Medical Register on charges of seroius professional misconduct. It deprives the practitioner of all privileges of a registered practitioner. It is considered to be a professional death sentence. Professional misconduct is any conduct of the doctor which might reasonably be regarded as disgraceful or dihonourable. Conduct is judged by professional men of good repute and competence. These offences are contained in Warning Notice and his name can be erased from Medical Register if guilty. These offences include Adultery, unlawful Abortion, Advertising, Association with unqualified persons in professional matters, Addiction, Alcohol and Dichotomy or fee splitting.